The administration of succinylocholine to a paraplegic patient led to the appearance of dysarrhythmias, conduction abnormalities and finally cardiac arrest. The most likely cause is
1. Hypercalcemia
2. Hyperkalemia
3. Anaphylaxis
4. Hypermagnesemia

Correct answer: 2. Hyperkalemia

Explanation: B i.e. Hyperkalemia